A 5-year-old unimmunized child presented with high fever, sore throat, dysphagia & voice change. Throat swab from a whitish lesion showed the following diagnosis.
1. Diphtheria
2. Mumps
3. Pertussis
4. Streptococcal pharyngitis

Correct answer: 1. Diphtheria

Explanation: a. DiphtheriaOn Albert staining, C. diphtheriae appears green colored rod shaped bacteria with bluish black metachromatic granules at the poles